Which of the following are derived from mesoderm
1. Astrocytes
2. Oligodendrocytes
3. Microglial cells
4. Schwann cells

Correct answer: 3. Microglial cells

Explanation: There is a third type of neuroglial cell called microglia. this type doesn't develop from the cells of the neural tube but migrates into it along with blood vessels.these cells are believed to be of mesodermal origin HUMAN EMBRYOLOGY-INDERBIR SINGH TENTH EDITION-PAGE NO:116